Hemiparesis is NOT a feature of
1. Carotid artery occlusion
2. MCA occlusion
3. ACA occlusion
4. Vertebral artery occlusion

Correct answer: 4. Vertebral artery occlusion

Explanation: Altered mental status is a common presenting complaint in the emergency department (ED). Cerebrovascular accidents (CVAs) are one of the most serious etiologies for altered mental status. Ischemic stroke accounts for 87% of CVAs.1 Of these, approximately 20% are the result of vertebrobasilar artery occlusion (VBAO). The mortality of VBAO can reach 80-95% without successful treatment. Making the diagnosis can be difficult as patients present with a variety of nonspecific signs and symptoms. Furthermore, the posterior circulation is difficult to visualize, often requiring the use of computed tomography angiography (CTA), magnetic resonance imaging (MRI) or magnetic resonance angiography (MRA). We present here a review of the literature and a case of a young patient with VBAO. There are a number of conditions that can cause hemiparesis or hemiplegia. Examples of hemiparesis and hemiplegia causes include strokes, brain injuries, spinal cord injuries, infections, and a handful of other conditions affecting the central nervous system Hemiparesis is not a feature of VAO Ref Harrison20th edition pg 2345